Skull base fracture is associated with all of the following except:
1. Racoon eyes
2. Hemiparesis
3. CSF Rhino-otorrhea
4. Battle sign

Correct answer: 2. Hemiparesis

Explanation: Anterior cranial fossa fracture Middle cranial fossa fracture Posterior cranial fossa fracture MC type of skull base fracture Caused by fracture of cribriform plate Clinical features: Subconjunctival hematoma CSF rhinorrhea Epistaxis Anosmia Periorbital hematoma or "Raccoon eyes" Carotico cavernous fistula Frontal lobe contusion Caused by fracture of petrous part of temporal bone. Clinical features: CSF otorrhea Paradoxical rhinorrhea Hemotympanum Battle sign: Bruising or ecchymosis behind ear Ossicular disruption VII & VIII cranial nerve palsies Temporal lobe contusion Caused by fracture of occipital bone. Clinical features Visual disturbances VI cranial nerve injury Jugular foramen syndrome (Vernet syndrome): paresis of IX, X, XI cranial nerves Basilar artery injury Occipital contusion